A 17 year old boy is admitted to the hospital after RTS, per abdomen examination is normal. After adequate resuscitation, his pulse rate is 80/min and BP is 110/70mmHg. Abdominal CT reveals 1cm deep laceration on the left lobe of the liver extending from the dome more than half way through the parenchyma. Appropriate mangement at this time would be
1. Conservative management
2. Abdominal exploration and packing of hepatic wounds
3. Abdominal exploration and ligation of left hepatic artery
4. Left hepatectomy

Correct answer: 1. Conservative management

Explanation: In stable persons Conservative management is the preferred option Ref: Sabiston 20th edition Pgno : 437-439